Blood supply of liver -
1. 80% hepatic artery, 20% portal vein
2. 20% hepatic artery, 80% portal vein
3. 50% hepatic artery, 50% portal vein
4. 100% hepatic artery

Correct answer: 2. 20% hepatic artery, 80% portal vein

Explanation: Ans. is 'b' i.e., 20 % hepatic artery, 80 % portal vein Blood supply of livero The liver has dual blood supply20% of blood supply is through the hepatic artery.80% of blood supply is through the portal vein.o Before entering the liver, both the hepatic artery and the portal vein divide into right and left branches and further subdivide to form segmental vessels within the liver.o The hepatic arterial blood mixes with portal venous blood in the sinusoids.o There are no anostomoses between adjoining hepatic arterial territories and hence each branch is an end artery.Other important abdominal organs an their blood supplyOrganBlood SupplyEsophagusInferior thyroid (branch of thyrocervical trunk)Branches from descending aortaLeft gastric artery' (branch of coeliac trunk)Bronchial arteryLeft inferior phrenic arteryStomachLeft gastric artery (branch of coeliac trunk)Right gastric artery' (branch of hepatic artery)Right gastroepiploic artery (branch of gastroduodenal artery)Left gastroepiploic artery' (branch of splenic artery)Short gastric artery (branch of splenic artery)DuodenumProximal to entry of bile ductSuperior pancreaticoduodenal artery (branch of gastroduodenal artery)Right gastric arteryRetroduodenal artery (branch of gastroduodenal artery)Right gastroepiploic artery (branch of gastroduodenal artery)Supraduodenal artery of wilkie (inconsistant supply)Distal to entry of bile ductInferior pancreatico-duodenal artery (branch of superior mesenteric artery)PancreasPancreatic branches of Splenic artery (major supply)The superior pancreaticoduodenal arteryThe inferior pancreaticoduodenal arterySpleenSplenic artery (largest branch of coeliac trank)KidneyRenal artery' (branch of the abdominal aorta)Suprarenal gland (Adrenal gland)Superior suprarenal artery- (branch of inferior phrenic artery)Middle suprarenal artery (branch of abdominal aorta)Inferior suprarenal artery (branch of renal artery)